Which of the following organisms is known to cause Atrophic Rhinitis -
1. Klebsiella pneumoniae
2. Klebsiella Ozaena
3. Streptococcus pneumoniae
4. Streptococcus foetidis

Correct answer: 2. Klebsiella Ozaena